Which of the following is the earliest clinical sign of Vit A deficiency?
1. Bitot's spot
2. Corneal xerosis
3. Conjunctival xerosis
4. Keratomalacia

Correct answer: 3. Conjunctival xerosis

Explanation: The ocular manifestation of Vit A deficiency includes night blindness, conjunctival xerosis, Bitot's spot, corneal xerosis and keratomalacia. Extra ocular manifestation of Vit A deficiency includes follicular hyperkeratosis, anorexia and growth retardation. Ref: Park, 21st Edition, Page 568.